Rivaroxaban is an anticoagulant belonging to the category of:
1. Factor Xa inhibitor
2. Direct thrombin inhibitor
3. Vitamin K antagonist
4. Low molecular weight heparin

Correct answer: 1. Factor Xa inhibitor

Explanation: It is used in the prevention of deep vein thrombosis after hip and knee replacement surgery. Rivaroxaban is also used for treatment of deep vein thrombosis in higher doses. Stroke prevention in non-valvular atrial fibrillation is another role for the drug. It is better avoided in those with significant renal dysfunction